All of the following are increased in Acute stress except
1. Growth hormone
2. Insulin
3. Epinephrine
4. Glucagon

Correct answer: 2. Insulin

Explanation: Stress hormones such as cortisol and norepinephrine are released by the body in situations that are interpreted as being potentially dangerous. The hormone regulating system is known as the endocrine system. Cortisol is believed to affect the metabolic system and norepinephrine is believed to play a role in ADHD as well as depression and hypertension.Ref: Ganong's review of medical physiology; 24th edition; page no: 431